Which component of the cell wall is responsible for endotoxic activity:
1. Region I
2. Region II
3. Region III
4. Biovin antigen

Correct answer: 3. Region III